All are associated with Epstein Barr virus EXCEPT:
1. Burkitts lymphoma
2. Nasopharyngeal carcinoma
3. Infectious mononucleosis
4. Kaposi sarcoma

Correct answer: 4. Kaposi sarcoma

Explanation: Ans. D i.e. Kaposi sarcoma Human Herpes Virus type 8 is associated with 3 conditions, i.e. Kaposi's disease, B-cell lymphoma and Castleman's disease